Which of the following is a bacteriostatic antitubercular drug ?
1. Streptomycin
2. Ethambutol
3. Isoniazid
4. Rifampicin

Correct answer: 2. Ethambutol